Which of the following are a triad of the sign and
symptoms of osteogenesis imperfecta
1. blue sclera, sparse hair, anhydrosis
2. enlarged hand, feet, maxilla, mandible
3. blue sclera, brittle bones, opalescent dentin
4. blue sclera, arachnodactyly, brittle bones

Correct answer: 3. blue sclera, brittle bones, opalescent dentin